All of the following are true about antipsychotics except
1. Haloperidol is a typical antipsychotic
2. Asenapine can be administered sublingually
3. Most common extrapyramidal symptom is Acute dystonia
4. Clozapine can lead to agranulocytosis

Correct answer: 3. Most common extrapyramidal symptom is Acute dystonia

Explanation: Most common extrapyramidal symptom is Akathisia i.e, irresistible desire to move.